All of the following characteristic pattern seen in Brown-Sequard syndrome; except:-
1. Ipsilateral weakness
2. Ipsilateral loss of position and vibration
3. Ipsilateral loss of pain and temperature
4. Contralateral loss of pain and temperature

Correct answer: 3. Ipsilateral loss of pain and temperature

Explanation: BROWN SEQUARD SYNDROME: -The signs are due to injury to 1/2 of the spinal cord (hemi-section of spinal cord) BELOW LEVEL OF INJURY: Ipsilateral UMN paralysis due to damage to pyramidal tract. Ipsilateral loss of conscious proprioception, pressure, vibration. Contralateral loss of pain & temperature due to damage to lateral spinothalamic & anterior spinothalamic tract. AT LEVEL OF INJURY: Ipsilateral LMN paralysis (due to damage to ventral roots) Ipsilateral anesthesia over the skin of the segment due to injury to ventral nerve roots.